Deep inguinal ring is derived from:
1. Fascia transversalis
2. Internal oblique aponeurosis
3. Transverse abdominis
4. Rectus abdominis

Correct answer: 1. Fascia transversalis

Explanation: Ans: A (Fascia transversalis) Ref: Gray's Anatomy, 39th edition, 2005, Page 1110 & 1111Explanation:I. Deep inguinal ring:The deep inguinal ring is situated in the transversalis fascia (defect in transversalis fascia).Surface marking: 1.25 cm above the inguinal ligament midway between the anterior superior iliac spine and the pubic symphysis.Shape: Oval.Relation to inferior epigastric artery: Related medially the inferior epigastric artery.So neck of the hernial sac in indirect inguinal hernia is located lateral to inferior epigastric artery.Similarly the hernial sac in the direct inguinal hernia is located medial to inferior epigastric artery.Fascial prolongation from the margin of deep inguinal ring is - internal spermatic fasciaII. Superficial inguinal ring :The superficial inguinal ring is an opening (defect) in the aponeurosis of external oblique muscle.Surface marking: Just above and medial to the pubic tubercle.Shape: Triangular.Fascial prolongation from the margin of superficial inguinal ring is - external spermatic fascia.